Reverse transcriptase of hepatitis B virus is coded on the following gene -
1. C gene
2. S gene
3. P gene
4. X gene

Correct answer: 3. P gene